PPIs are use used in
1. ZE syndrome
2. NSAIDs induced peptic ulcer
3. Gastroesophageal reflux
4. All of the above

Correct answer: 4. All of the above

Explanation: Ans. is'd'i.e., All of the above PPI are the DOC for peptic ulcer (gastric or duodenal), GERD, ZE syndrome, prevention of aspiration pneumonia and NSAID induced gastric / duodenal ulcers. Note - PGEI analogue (Misoprostol) is specific drug for prevention and treatment of NSAID induced ulcer, but DOC is PPI.